HB estimation is not done by
1. Drabkins method
2. Sahli's method
3. Spectrophotometry
4. Wintrobe method

Correct answer: 4. Wintrobe method

Explanation: Some methods of hemoglobin estimation are : Drabkin's method Sahli's method Hemoglobincyanide (HiCN) Method Blood Gas Analyzer (BGA) Whereas Wintrobe's method and Westergren's method: for ESR determination.